Amino acid deficient in rice
1. Lysine
2. Methionine
3. Cysteine
4. All of the above

Correct answer: 1. Lysine